Dose of rTPA in ischaemic stroke is
1. 60 mg
2. 90 mg
3. 100 mg
4. 120 mg

Correct answer: 2. 90 mg

Explanation: Ans. is 'b' i.e., 90 mg Recommended dose for thrombolysis with IV TPA is 0.9 mg/kg with the maximum dose being 90 mg. 10% should be given as a bolus over one minute, followed by remaining 90% as a continuous infusion over 60 minutes.